Which of the following statements is true about toxoplasmosis?
1. Maximum transmission and damage in 1st trimester
2. Maximum transmission in 1st trimester and Maximum damage in 3rd trimester
3. Maximum damage in 1st trimester and maximum transmission in 3rd trimester
4. Maximum transmission and damage in 3rd trimester

Correct answer: 3. Maximum damage in 1st trimester and maximum transmission in 3rd trimester

Explanation: Toxoplasmosis causes maximal damage in 1st trimester but the risk of transmission increases and risk of damage decreases as pregnancy progress further. Clinical features of affected neonates: Low birth weight Hepatosplenomegaly Jaundice Anemia Neurological disease with intracranial calcifications Hydrocephaly or microcephaly Tetrad of toxoplasmosis-Chorioretinitis, intracranial calcifications, and hydrocephalus often accompanied by convulsions. Ref: Williams Obstetrics 25th edition Pgno: 1225